IUD with maximum expulsion rate-
1. Lippes loop
2. Cut-200
3. Progestasert
4. Nova - T

Correct answer: 1. Lippes loop

Explanation: Ans. is 'a' i.e., Lippes loop IUD devicePregnancy (failure) rateExpulsion rateFirst generation * Lippes loop3[?]0 (maximum)19[?]1 (maximum)Second generation * CuT - 36 * CuT -2003[?]07[?]8* CuT - 380A0[?]5 - 0[?]85* Nova T0[?]75[?]8* Multiload - 2500[?]52[?]2* Multiload -3750[?]12[?]1Third generation * Progstasert1[?]53 (minimum)* LNG-IUD0[?]2 (minimum)6